What type of joint is the growth plate -
1. Fibrous
2. Primary cartilaginous
3. Secondary cartilaginous
4. Plane joint

Correct answer: 2. Primary cartilaginous

Explanation: Cartilaginous joints
1)    Primary cartilaginous joints (synchondrosis, or hyaline cartilage joint): These are:-

The joint between epiphysis and diaphysis of a growing long bone, i.e. physis.
Spheno-occipital joint
1st costosternal joint (1st chondrosternal joint)
Costochondral joints

2) Secondary cartilaginous joints (Symphyses or fibrocartilaginous joints) : These are :-

Symphysis pubis
Sacroccygeal joint
Manubriosternal joint
Intervertebral disc
Symphysis menti